True about rickets:
1. Hyperphosphatemia
2. Hypophosphatemia
3. Hypophosphaturia
4. Decreased alkaline phosphatase

Correct answer: 2. Hypophosphatemia

Explanation: Answer : B.) Hypophosphatemia. Rickets Failure of osteoid calcification (rickets) in children is because of a disruption in the pathway of either vitamin D or phosphate metabolism. Types of rickets include the following: Nutritional rickets Congenital rickets Rickets of prematurity Vitamin D resistance (type I and type II) Neoplastic rickets Hypophosphatemic rickets Drug-induced rickets. Low phosphate and high alkaline phosphatase levels characterize most of the disorders